Which of the following is true about Pneumothorax?
1. Decreased Chest Expansion
2. Increased Breath Sounds
3. Increased Vocal Resonance
4. Dull percussion note

Correct answer: 1. Decreased Chest Expansion

Explanation: Answer is A (Decreased Chest Expansion): Chest Expansion may be Normal or Decreased in Pneumothorax. Pneumothorax is associated with reduced breath sounds, reduced vocal resonance, hyper-resonant percussion note and tracheal deviation/mediastinal shift to opposite side.